Following a road trafiic accident involving his bike and a bus, a 30-year-old man suffered splenic rupture. On examination his vital signs are BP 90/60, pulse 126/min and Sp02 92%. Which of the following is the induction agent of choice in this patient ?
1. Remifentanyl
2. Halothane
3. Midazolam
4. Etomidate

Correct answer: 4. Etomidate

Explanation: This patient is hemodynamically unstable and the induction agent of choice in this case would be etomidate, as it is preferred in patients with unstable hemodynamics and poor cardiac reserve. Etomidate is an induction agent which is frequently used in elderly patients, trauma victims or in emergency circumstances. Reference: Principles and Practice of Geriatric Surgery edited by Ronnie Ann Rosenthal, page 315.